Which of the following group of drugs should be avoided in diabetics? (REPEAT)
1. a1-blockers
2. a2-blockers
3. b1-blockers
4. b2-blockers

Correct answer: 4. b2-blockers

Explanation: B2 blockers and non-selective beta blockers are contraindicated in diabetes as they mask the symptoms of hypoglycemia except sweating Cardioselective beta blockers or beta 1 blockers can be given.